Mites are known to transmit-
1. Scabies
2. Relapsing fever
3. KFD
4. Human babesiosis

Correct answer: 1. Scabies

Explanation: Scabies is transmitted by itch mite or Sarcoptes scabiei. They are small globular arthropods. Scabies is spread by close contact and contaminated clothes. Other diseases transmitted by mites include Shrub typhus and rickettsialpox Relapsing fever and KFD transmitted by ticks. Park's Textbook of Preventive and Social Medicine, 25th edition, Page No. 841